Active replication in Hepatitis B infection is indicated by ?
1. HBeAg
2. HBsAg
3. HBcAg
4. Anti-HBsAg

Correct answer: 1. HBeAg

Explanation: Circulating HBeAg is an indicator of active intra hepatic viral replication REF:ANANTHANARYANAN TEXT BOOK OF MICROBIOLOGY 9EDITION PGNO.547